Full form of ARIA is
1. Allergic rhinitis and its impact on asthma
2. Allergic rhinitis induced asthma
3. Antibody response in allergic rhinitis
4. Antibody response in asthma

Correct answer: 1. Allergic rhinitis and its impact on asthma

Explanation: ARIA: Allergic Rhinitis and its Impact on Asthma classification It is based on severity and duration of disease. Duration of disease is subdivided into intermittent or persistent and the severity of disease into mild, moderate and severe The new system of classification is helpful in treatment guidelines Ref: PL Dhingra; 6th edition of Ear, Nose and Throat; page no 167